Drug of choice for acute congestive glaucoma is :
1. 1-2% pilocarpine
2. Timolol
3. Levobunanol
4. Atropine

Correct answer: 1. 1-2% pilocarpine

Explanation: A i.e. 1-2% Pilocarpine